All of the following are the levels of constrictions of the esophagus, EXCEPT:
1. Arch of aorta
2. Left main bronchus
3. Left atrium
4. Diaphragm

Correct answer: 3. Left atrium

Explanation: There are three major constrictions of the esophagus:1. The cricopharyngeal or pharyngoesophageal constriction (diameters 1.7x2.3 cm)2. The bronchoaortic constriction. Anatomically there are two separate constrictions: the aortic at the level of T4 with diameters of 1.9x2.3 cm, and the bronchial at the level of T5 with diameters of 1.7x2.3 cm3. The diaphragmatic constriction at the level of T9 or T10 with a diameter of 2.3 cm.